Henoch - Schonlein purpura may rarely cause
1. Intussusception
2. Volvulus
3. Hernia
4. None of the above

Correct answer: 1. Intussusception